When 34 year old police officer fired the gun, bullet didn't come out, so he fired again, now first bullet comes out along with second bullet. This pattern of two bullets coming out of muzzle end in called?
1. Duplex bullet
2. Tandem bullet
3. Dum-Dum bullet
4. All of the above

Correct answer: 2. Tandem bullet